All of the following statements about Lipoprotein Lipase are true, except:
1. Found in adipose tissue
2. Found in myocytes
3. Deficiency leads to hypertriacylglycerolemia
4. Does not require CII as cofactor

Correct answer: 4. Does not require CII as cofactor

Explanation: Apo CII is needed for the activation of lipoprotein lipase. Lipoprotein lipase activated by apo CII on circulating lipoprotein particles, hydrolyzes the triacylglycerol contained in these particles to yield fatty acid and glycerol. Ref: Biochemistry By Richard A. Harvey, Denise R. Ferrier, Pages 228-9